A 4 year old child presents with fever, and increased work of breathing manifested by tachypnea and retractions. A chest X ray confirms lobar pneumonia. What is the most likely causative organism?
1. Mycoplasma pneumoniae
2. Streptococcus pyogenes
3. Chlamydiae pneumoniae
4. Streptococcus pneumoniae

Correct answer: 4. Streptococcus pneumoniae

Explanation: Ans. D. Streptococcus pneumoniaeCausative organisms may differ in different age groups.< 2 months: Gram negative bacteria such as Klebsiella, E. coliBetween 3 months- 3 years: S pneumonia, H influenza, StaphylococciAfter 3 years of age: S pneumonia and staphylococcus